The term 'telefono' is referred the following type of torture:
1. Beating the soles of feet with rod
2. Beating of the ears
3. Forced immersion of head until stage of suffocation
4. Tying of a plastic bag over head

Correct answer: 2. Beating of the ears

Explanation: Telefono is a type of a torture. It consists of repeated slapping of the sides of the head (over ears) by the open palms of the assailant. This may cause rupture of ear drums. Other types of tortures: Falanga (falaka, bastinado): In this canes or rods are used to beat on the soles of the feet, which is very painful and debilitating. Web submarino, latina: Forced immersion of head often contaminated with urine or faeces, until the stage of suffocation. Dry submarino: Tying of a plastic bag over the head up to the point of suffocation. Ref: The essentials of forensic medicine and toxicology by Dr K S Narayan Reddy, 27th edition, Page 261.